Commotio retinae is
1. Oedema of cornea following blunt trauma
2. Oedema of retina following blunt trauma
3. Injury to anterior part of lens
4. Injury to sclera

Correct answer: 2. Oedema of retina following blunt trauma

Explanation: (B) Oedema of retina following blunt trauma # COMMOTIO RETINAE (Berlin's oedema): Common occurance following a blow on the eye"> Manifests as milky white cloudiness involving a considerable area of the posterior pole with a 'Cherry - red spot' in the foveal region.> It may disappear after some days or may be followed by pigmentary changes.